A female diabetic having severe ear pain and granulation tissue in external ear with Facial palsy is due to:
1. Malignant otitis externa
2. Herpes zoster otitis
3. Otomycosis
4. None

Correct answer: 1. Malignant otitis externa

Explanation: Malignant otitis externa - can cause destruction of tissues of canal, pre and post auricular region by various enzymes like lecithinase and hemolysis. Infection can spread to skull base and jugular foramen causing multiple cranial nerve palsies in which most common is facial nerve palsy.